Heart failure cells are found in -
1. Myocardium
2. Lungs
3. Liver
4. Spleen

Correct answer: 2. Lungs

Explanation: Ans. is 'b' i.e., Lung oRT Heart failure cells (siderophages) are hemosiderin containing macrophages in alveoli that are seen in left ventricular failure and denote previous episodes of pulmonary edema.